Grade 1 Lymphedema means
1. Pitting edema upto the ankle
2. Pitting edema upto knee
3. Non pitiing edema
4. Edema disappearing after overnight rest

Correct answer: 4. Edema disappearing after overnight rest